Single gene disorder is-a) Glycogen storage diseaseb) Retinoblastornac) DMd)  HT
1. ac
2. a
3. ab
4. bc

Correct answer: 3. ab